Movements taking place during abduction of shoulder joint are all except:
1. Medial rotation of scapula
2. Axial rotation of humerus at acromioclavicular joint
3. Elevation of humerus
4. Movements at clavicular end of sternoclavicular joint

Correct answer: 1. Medial rotation of scapula

Explanation: Medial rotation of scapula Abduction of the ann involves rotation of the scapula as well as movement at the shoulder joint.For every 3deg abduction, a 2 deg abduction occurs in the shoulder joint & 1 deg abduction occurs by rotation of the scapula (forward rotation round the chest wall i.e. lateral rotation). Rotation of the scapula is facilitated by movements at the sternoclavicular and acromioclavicular joints.Also know: Abduction is initiated by the supraspinatus but the deltoid muscle is the main abductor.